The major pressures that determine filtration and absorption of fluid by capillaries are the:
1. Capillary hydrostatic pressure and plasma colloid osmotic pressure
2. Plasma colloid osmotic pressure and interstitial hydrostatic pressure
3. Interstitial hydrostatic pressure and tissue colloid osmotic pressure
4. Capillary hydrostatic pressure and tissue colloid osmotic pressure

Correct answer: 1. Capillary hydrostatic pressure and plasma colloid osmotic pressure

Explanation: Ans. A. Capillary hydrostatic pressure and plasma colloid osmotic pressureAll The other possibilities include one minor force for filtration or absorption.